Agar media used for Haemophilus influenza ?
1. Blood agar
2. Chocolate agar
3. Tryptose agar
4. BYCE agar

Correct answer: 2. Chocolate agar

Explanation: Ans. is 'b' i.e., Chocolate agar